All of the following statements about Recurrent Laryngeal Papillomatosis are true, EXCEPT:
1. Caused by Human Papilloma Virus (HPV)
2. HPV6 and HPV11 are most commonly implicated
3. HPV6 is more virulent than HPV11
4. Transmission to neonate occurs through contact with mother during vaginal delivery

Correct answer: 3. HPV6 is more virulent than HPV11

Explanation: HPV 11 related Recurrent respiratory papillomatosis is more aggressive than HPV 6 mediated disease is supported by the clinical evidence. HPV 11 does demonstrate a greater probability of producing malignant changes also.